Secondary granules in neutrophil are:
1. Proteolytic enzymes
2. Nucleotidase
3. Lactoferrin
4. Catalase

Correct answer: 3. Lactoferrin

Explanation: Lactoferrin is an enzyme present in the secondary granules of neutrophils. Neutrophil has 2 granules - primary & secondary. Enzymes present in these 2 are given below